Most specific marker for myeloid series is:
1. CD34
2. CD45
3. CD99
4. CD117

Correct answer: 4. CD117

Explanation: As per Wintrobes the marker for myeloud series CD13,CD33,CD11b,CD15,CD117 and cMPO. Regarding other options CD 34 -myeloid and lymphoid blasts,stem cells CD45 -leucocyte common antigen CD 99- Ewings sarcoma.( ref wintrobes 11th /4145)